air blast injury, most common organ affected:
1. Eardrum
2. Stomach
3. Lungs
4. Liver

Correct answer: 1. Eardrum

Explanation: Ans. Eardrum